Brucella is transmitted by all except aEUR'
1. Aerosol transmission
2. Ingestion of raw milk
3. Man to man
4. Contact with aborted fetuses

Correct answer: 3. Man to man

Explanation: Man to man Brucellosis Brucellosis is one of the major zoonoses, and in humans is also kla unclulent fever, Malta fever or Mediterranean fever. It is occasionally transmitted to man by direct or indirect contact with infected animals. There is no evidence of transmission .from man to ratan. Agents - gram negative, non-motile, intracellular coccobacilli. Reservoir of infection - Main reservoirs of human infection are cattle, swine, horses and dogs. - In animals brucella can cause abortion premature expulsion of the fetus or death - Brucella is excreted in urine, milk, placenta and vaginal discharges. Thus brucellosis is predominantly a disease of farmers, shepherds, butchers and abattoir workers & veterinarians. Modes of transmission a. Contact infection (Most common) - direct contact with infected tissues, blood, urine, vaginal discharge, aborted fetuses and especially placenta. b. Food borne infection - ingestion of raw milk or dairy products from infected animals - fresh raw vegetable scan also carry infection if grown on soil containing manure from infected farms. - water contaminated with excreta of infected animals also serves as source of infection. c. Air-borne infection - inhalation of infected dust or aerosols in a cowshed, slaughter house or laboratories Brucellosis is notified as occupational disease.